Perioral pallor and dennie's lines are seen in
1. Atopic dermatitis
2. Chronic actinic dermatitis
3. Blood dyscrasias
4. Perioral contact dermatitis

Correct answer: 1. Atopic dermatitis

Explanation: Refer robbins 8/e p1187 Atopic dermatitis (eczema) is a condition that makes your skin red and itchy. It's common in children but can occur at any age. Atopic dermatitis is long lasting (chronic) and tends to flare periodically. It may be accompanied by asthma or hay fever. No cure has been found for atopic dermatitis. But treatments and self-care measures can relieve itching and prevent new outbreaks. For example, it helps to avoid harsh soaps, moisturize your skin regularly, and apply medicated creams or ointments.